Drug used for sympathectomy in experimental animals is ?
1. Guanethidine
2. Atropine
3. Diazoxide
4. Thebaine

Correct answer: 1. Guanethidine

Explanation: Ans. is 'a' i.e., Guanethidine Guanethidine is used for experimental sympthectomy. Guanethidine a polar guanidine compound which is taken up into adrenergic nerve endings by active amine transport and has three important facets of action : Displaces NA from storage granules stochiometrically. Inhibits nerve impulse coupled release of NA Engages and blocks NA uptake mechanism at the axonal membrane. It was used for sympathectomy in experimental animal.